Salivary calculus is more common in
1. Submandibular gland
2. Sublingual gland
3. Parotid gland
4. Minor salivary gland

Correct answer: 1. Submandibular gland